A adolescent was bitten by a stray dog. To rule out rabies in the animal, brain tissue sample was taken. Which of the part of brain tissue should be taken to see the characteristic Negri bodies?
1. Hippocampus
2. Hypothalamus
3. Medulla
4. Midbrain

Correct answer: 1. Hippocampus

Explanation: Rapid diagnosis of rabies infection in the animal is usually made by examination of brain tissue by using either RTPCR assay, fluorescent antibody to rabies virus or histologic staining of Negri bodies in the cytoplasm of hippocampal neurons. Negri bodies are sharply demarcated, more or less spherical, and 2-10 mm in diameter, and they have a distinctive internal structure with basophilic granules in an eosinophilic matrix. Negri bodies contain rabies virus antigens. Ref: (2012). Chapter 39. RNA-Enveloped Viruses. In Levinson W (Eds), Review of Medical Microbiology & Immunology, 12e.